All of the following occur when the blood flows through the capillaries except:
1. Increase in haemotocrit
2. Hb curve shift to the left
3. Decreased protein content
4. Decrease in pH

Correct answer: 2. Hb curve shift to the left

Explanation: Capillaries in tissue have CO2 diffused from cells; it would displace O2 from Hb (Bohr Effect). The curve shifts to right Fluid leaks out of the capillaries. Hence, hematocrit (the ratio of cells to plasma) would increase. However, this is a generalized statement. In some capillary beds (e.g. muscle), hematocrit may become as low as 20%. Reason: red cells at the center have faster velocities. Cell-free portion near the vessel wall is much slower. Mean transit time of the plasma, which moves more uniformly across the wall, is slower. There is some leakage of proteins across the capillary wall. Hence, protein content would be decreased. Acidic metabolites released by the cells would decrease the pH of capillary blood. Note that: When this blood goes to venous side, chloride shift into the RBCs have caused bicarbonate to enter plasma, from RBCs. Blood pH will now increase.